An engineering student has difficulty to deliver seminar with a fear that his seniors are present despite knowing that they are supportive. He further has difficulty speaking in front of others and also avoids going to the parties. Which of the following is the most likely diagnosis?
1. Agoraphobia
2. Claustrophobia
3. Social phobia
4. Acrophobia

Correct answer: 3. Social phobia

Explanation: Ans. C. Social phobiaHere the fear is performing in public and there is also avoidance of social situations (i.e. avoidance of parties).